Ideal condition for adipocere formation includes
1. Warm humid air
2. Dry hot air
3. Cold humid air
4. Cold dry weather

Correct answer: 1. Warm humid air

Explanation: Ans. is 'a' i.e., Warm humid air * Moisture present, warmth present, air present - Putrefaction.* Moisture present, warmth present, air absent, i.e. warm humid climate - Adipocere formation (saponification).* Moisture absent, warmth present, air present, i.e. hot dry climate - Mummification.